Which of the following organs obtained from cadaver is not used for transplant?
1. Blood vessels
2. Lung
3. Liver
4. Urinary bladder

Correct answer: 4. Urinary bladder

Explanation: Ans. Urinary bladder